All of the following drugs are bactericidal except:
1. Isoniazid
2. Tigecycline
3. Daptomycin
4. Ciprofloxacin

Correct answer: 2. Tigecycline

Explanation: TIGECYCLINE: It is active against most gram positive and gram negative cocci and anaerobes including tetracycline resistant strains of strep pyogenes,strep pmeumoniae,staph aureus MRSA,VRSA. They have the broadest spectrum of activity and are primarily bacteriostatic. Tigecycline acts in the same manner as that of tetracycline.the lacl of cross resistance between the two groups is mainly because the tetracycline efflux pumps acquired by many resistant bacteria have low affinity for tigecycline and are unable to pump it out. ESSENTIALS OF MEDICAL PHARMACOLOGY K.D.TRIPATHI SEVENTH EDITION PAGE NO:738 .